A 25-year-old girl presents with papules, erythema and telangiectasiae over the face as shown below. She also gives a history of flushing and burning sensation on exposure to sun and on any emotional disturbance. The most likely diagnosis is:
1. Acne vulgaris
2. Rosacea
3. Systemic lupus erythematosus
4. Scabies

Correct answer: 2. Rosacea

Explanation: Ans. (b) Rosacea.